The technique employed in radiotherapy to counteract the effect of tumour motion due to breathing is known as
1. Arc technique
2. Modulation
3. Gating
4. Shunting

Correct answer: 3. Gating

Explanation: Gating Respiratory gating : It is a technique in radiotherapy in which the radiation is applied during that phase of respiratory cycle in which the tumour is in the best range. This is to prevent unnecessary radiation exposure to normal structures.